Most superior sinus in the face is:
1. Frontal sinus
2. Ethmoid sinus
3. Maxillary sinus
4. Sphenoid sinus

Correct answer: 1. Frontal sinus

Explanation: (a) Frontal sinus(Ref. Scott Brown, 6th ed., 4/3/2)Most superior sinus is the frontal sinus followed by ethmoid, sphenoid and maxillary sinuses.